When any two objects come in contact there is always a transference of material from each object on to the other. This is called :
1. Locard's exchange principle
2. Corpus fouling
3. Metallic fouling
4. Rule of Haase

Correct answer: 1. Locard's exchange principle

Explanation: A i.e. Locard's principle